Most common extracranial solid tumor in children is
1. Wilm's tumor
2. Neuroblastoma
3. Hydronephrosis
4. Rhabdomyosarcoma

Correct answer: 2. Neuroblastoma

Explanation: Neuroblastoma is the most common extracranial solid tumor in children and the most commonly diagnosed malignancy in infants. Reference: Nelson; Neuroblastoma; Page no: 2461